The special stain used for treponema pallidum is
1. Giemsa staining
2. Gram staining
3. Fontanna silver
4. Ziel Neelson

Correct answer: 3. Fontanna silver